In pregnancy with increased MSAFP which of the following should be done?
1. Repeat measurement of MSAFP at later date
2. USG
3. Amniocentesis
4. Termination of pregnancy

Correct answer: 2. USG

Explanation: Maternal Serum Alpha Fetoprotein (MSAFP) estimation at 16 weeks was used as a screening method for open neural tube defects but today,has been almost completely replaced by ultrasonography. Refer page no 486 of Text book of obstetrics,sheila balakrishnan,2 nd edition.